Most Common infection in Contact Lens user is
1. Acanthamoeba
2. Pneumococcus
3. Pseudomonas
4. Staphylococcus aureus

Correct answer: 3. Pseudomonas

Explanation: Most Common infection in Contact Lens user is Pseudomonas